Which of the following vascular lesions has the LEAST clinical significant
1. Monckeberg's medial calcification
2. Hyaline arteriolosclerosis
3. Hyperplastic arteriolosclerosis
4. Glomus tumor

Correct answer: 1. Monckeberg's medial calcification

Explanation: Monckeberg's medial calcification has the least clinical significance. It represents dystrophic calcification (often visible on x-ray) in the media of muscular arteries. Luminal occlusion does not occur.Arteriolosclerosis is a subclass of arteriosclerosis that primarily involves the arterioles. Hyperplastic arteriolosclerosis involves smooth muscle hyperplasia in the muscle wall with an "onion skin" appearance; This change is particularly prominent in the kidneys of patients with malignant hypertension or progressive systemic sclerosis. Hyaline arteriolosclerosis is a small vessel disease associated with diabetes mellitus and essential hypertension.A port wine nevus flammeus in the trigeminal distribution is often associated with Sturge-Weber syndrome. Glomus tumors (glomangiomas) are painful, benign tumors of modified smooth muscle that are usually located directly beneath the nail bed.